Gillette's space is
1. Retropharyngeal space
2. Peritonsillar space
3. Parapharygeal space
4. Prelaryngeal space

Correct answer: 1. Retropharyngeal space

Explanation: Retropharyngeal space is also called Space of Gillette.Also called danger space of neck as it extends from skull base to superior mediastinum and infections can lead to mediastinitis.Contains Glands of Henle and Rouviere`s nodes.Ref: Hazarika; 3rd ed; Pg 492